Unconscious proprioception is carried by ?
1. Dorsal column
2. Spinothalamic tract
3. Spinocerebellar tract
4. Reticulospinal tract

Correct answer: 3. Spinocerebellar tract

Explanation: Ans. is 'c' i.e., Spinocerebellar tract(Ref. Principles of medical physiology p.712)Conscious proprioception - Dorsal column - medial lemniscal system.Unconscious proPriocePtion - Spinocerebellar tract.